Which type of shock is seen in burns-
1. Cardiogenic
2. Hypovolemic
3. Both of the above
4. None of the above

Correct answer: 2. Hypovolemic

Explanation: Ans. is 'b' i.e., Hypovolemic * Following table depicts the types of shock and the clinical situations where each type is seen:Three major types of shockType of shockClinical examplePrincipal mechanismsCardiogenicMyocardial infarction Ventricular ruptureFailure of myocardial pump resulting from intrinsic compression, or obstruction to outflowArrhthmiaCardiac tamponadePulmonary embolismHypovolemicFluid loss (e.g., hemorrhage, vomiting, diarrhea, burns, or traums)Inadequate blood or plasma volumeShock associated with systemic inflammationOverwhelming microbial infections (bacterial and fungal) Superantigens (e.g., toxic shock syndrome) Trauma, burns, pancreatitisActivation of cytokine cascades; peripheral vasodiation and pooling of blood; endothelial activation/injury; leukocyte-induced damage, disseminated intravascular coagulation* In patients with burns both hypovolemic shock and shock associated with systemic circulation can be seen.